A 45-year-old patient with chronic pancreatitis is suffering from malnutrition and weight loss secondary to inadequate pancreatic exocrine secretions. Which is TRUE regarding pancreatic secretions?
1. Secretin releases fluid rich in enzymes.
2. Secretin releases fluid rich mainly in electrolytes and bicarbonate.
3. Cholecystokinin releases fluid, predominantly rich in electrolytes, and bicarbonate.
4. All pancreatic enzymes are secreted in an inactive form.

Correct answer: 2. Secretin releases fluid rich mainly in electrolytes and bicarbonate.

Explanation: Secretin releases fluid rich mainly in electrolytes and bicarbonate. Both cholecystokinin and vagal stimulation result in fluid with a high content of enzymes. Among the pancreatic enzymes, amylase and lipase are released in their active forms; whereas, the proteolytic enzymes (trypsinogen, chymotrypsinogen) are secreted as inactive zymogens. Their activation occurs in the duodenum, where the zymogens are exposed to enterokinase.